All-trans-retinoic acid is used in treatment of
1. Acute promyelocytic leukemia
2. A.L.L
3. CML
4. Transient myeloproliferative disorder

Correct answer: 1. Acute promyelocytic leukemia

Explanation: Ref: Harrison 17th/389,447 All-trans-retinoic acid is used in the treatment of acute promyelocytic leukemia.